In a child with acute liver failure, the most important abnormal serum biochemical test that indicates poor prognosis is ?
1. Increasing transaminase
2. Increasing bilirubin
3. Increasing prothrombin time
4. Reversal of serum albumin-globulin ratio

Correct answer: 3. Increasing prothrombin time

Explanation: Despite supportive care and nursing in intensive care 40-70%children with acute liver failure die. poor prognostic markers are grade lll or more hepatic encephalopathy, prothrombin time more than 40 s , presence of sepsis and chest infection. Prothrombin time indicates coagulopathy which is a complication of acute liver failure Ref : ESSENTIAL PEDIATRICS,O.P.GHAI, PG NO:288, 7 th edition